A problem village is one where ?
1. Source of water > 1.6 km away
2. Water available > 15 meters depth
3. Excess of fluoride in water
4. All of the above

Correct answer: 4. All of the above

Explanation: Ans. is `d' i.e., All of the above A problem village has been defined as one Where no source of safe water is available within a distance of 1.6 km, or Where water is available at a depth of more than 15 meters, or Where water source has excess salinity, iron, fluorides and other toxic elements, or Where water is exposed to the risk of cholera.